Marcus gunn jaw winking phenomenon due to relation between which cranial nerves-
1. VII + VIII
2. III + V
3. V + VII
4. III + VI

Correct answer: 2. III + V

Explanation: *Marcus Gunn phenomenon (a.k.a. Marcus Gunn Jaw-Winkingor Trigemino-oculomotor Synkineses) Ref: Merritt's neurology p.603